Zinc is cofactor of which enzyme?
1. Carbonic anhydrase
2. Lysyl oxidase
3. Carboxylase
4. Kinase

Correct answer: 1. Carbonic anhydrase

Explanation: Zinc acts as a cofactor for: Carbonic anhydrase Carboxypeptidase Lactate dehydrogenase Alcohol dehydrogenase Alkaline phosphatase Metal Enzyme containing the metal Zinc Carbonic anhydrase, carboxypeptidase, alcohol dehydrogenase Magnesium Hexokinase, phosphofructokinase, enolase, glucose-6-phosphatase Manganese Phosphoglucomutase, hexokinase, enolase, glycosyltransferases Copper Tyrosinase, cytochrome oxidase, lysyl oxidase, superoxide dismutase Iron Cytochrome oxidase, catalase, peroxidase, xanthine oxidase Calcium Lecithinase, lipase Molybdenum Xanthine oxidase